Which of the following metabolizes arginine?
1. Mycoplasma pneumoniae
2. Mycoplasma genitalium
3. Mycoplasma hominis
4. Ureaplasma urealyticum

Correct answer: 3. Mycoplasma hominis

Explanation: M. hominis metabolizes arginine, with the production of potentially cytotoxic amounts of ammonia. Ureaplasmas have been placed in a separate genus because of their unique urease activity; the metabolism of urea also produces ammonia.